A 30-year-old P1L1 wants contraception for 6 months. She has dhymenorrhea and is a known case of complicated migraine. On USG, the uterus has multiple fibroids. Contraception of choice is:
1. Cu T 200
2. OC pills
3. Vaginal diaphragm
4. Tubal sterilization

Correct answer: 3. Vaginal diaphragm